Clue cells are-
1. Epithelial cells
2. Lymphocytes
3. Neutrophills
4. Macrophages

Correct answer: 1. Epithelial cells

Explanation: Ans. is 'a' i.e., Epithelial cells Clue cells are seen on wet mount microscopy of discharge in bacterial vaginosis. They are epithelial cells having a granular cytoplasm and fuzzy border, caused by gram negative bacilli adhered to their surface.Microscopic features of Bacterial vaginosiso Microscopy of bacterial vaginosis showso Clue cells in wet mounto Increase in the no. of Gardnerella vaginaliso Decrease no. of lactobacillio Decrease or absent polymorphs